Which amino acid is regarded as collector of amino groups?
1. Aspartate
2. Arginine
3. Cysteine
4. Glutamate

Correct answer: 4. Glutamate

Explanation: First step in catabolism of amino acids is the transfer of NH3 group from amino acid to Alpha Keto- Glutarate forming Glutamate- known as Transamination. So Glutamate is regarded as collector of amino groups. Note:-The safe non-toxic form of ammonia transport in blood from most body tissues is Glutamine. Collector is Glutamate, transporter is Glutamine